All of the following are features of synchysis scintillans except:
1. Fluid vitreous
2. Spherical calcium bodies
3. Shower of gold rain
4. Secondary to trauma or inflammations of the eye

Correct answer: 2. Spherical calcium bodies

Explanation: Ans. Spherical calcium bodies